TSH secreted from the pituitary gland is under control by
1. TRH and T3, T4
2. Releasing factors same as those of cortisol
3. Releasing factors bypass neurohypophysis to act on the anterior pituitary
4. TRH only

Correct answer: 1. TRH and T3, T4

Explanation: (A) TRH and T3, T4